NOT a definitive sign of pregnancy:
1. Fetal skeleton on X-ray
2. Fetal heart sounds
3. Ultrasound examination
4. Amenorrhea

Correct answer: 4. Amenorrhea

Explanation: Amenorrhea can be due to many reasons including pregnancy but also PCOS, Tuberculosis, Hypothalamic causes like Kallman's & Sheehan's syndrome , Pseudocyesis etc Remaining 3 are the definite signs of Pregnancy